All of the following are characteristics of a bronchopulmonary segment except
1. It is surgically resectable
2. It is named according to the segmental bronchus supplying it
3. It is drained by independent intrasegmental branch of pulmonary vein
4. It is the largest subdivision of a lobe

Correct answer: 3. It is drained by independent intrasegmental branch of pulmonary vein

Explanation: The bronchopulmonary segments are not drained by independent branch of pulmonary vein. The tributaries of the pulmonary vein tend to pass intersegmentally between and around the margins of segments. A bronchopulmonary segment is the area of lung supplied by a segmental bronchus and its accompanying pulmonary artery branch (Option B) and can be resected surgically (Option A). It is the largest division of a lobe. Ref: Gray's Anatomy 41st edition Pgno: 960